Function of spinocerebellum is ?
1. Equilibrium
2. Smoothens and coordinates movement
3. Learning induced by change in vestibulocular reflex
4. Planning and programming

Correct answer: 2. Smoothens and coordinates movement

Explanation: Ans. b' i.e., Smoothens and coordinates movement